Genital prolapse is best repaired after ....................................month of child birth :
1. 1
2. 2
3. 3
4. 6

Correct answer: 4. 6

Explanation: 6